Calculate the anion gap from the following information: Na+ = 137mmol/L K+ = 4 mmol/L Cl- = 110 mmol/L HCO3 = 15 mmol/L
1. 22 mmol/L
2. 16 mmol/L
3. 10 mmol/L
4. 12 mmol/L

Correct answer: 4. 12 mmol/L

Explanation: Formula: (Blood) Anion gap - Normal 6-12 mmol/L = - (K+ value not taken in consideration) =137- = 137-12 =12 Urinary anion gap = - | (HCO3-not considered) Normal=0 , As urine is electroneutral